lodophores are mixtures of the following :
1. Iodine and alcohol
2. Iodine and aldehyde
3. Iodine and surface active agents
4. Iodine and phenol

Correct answer: 3. Iodine and surface active agents